Which of the following is not a cultural characteristic of B. anthracis?
1. Medusa head appearance
2. String of pearl reaction
3. Inverted fir tree appearance
4. Bamboo stick appearance

Correct answer: 4. Bamboo stick appearance

Explanation: Ans. D. Bamboo stick appearancea. "Medusa head" appearance of colonies on solid medium is seen under microscopeb. "Inverted fir tree" appearance in gelatin stab culture.c. "String of pearl" appearance in culture medium with penicillin.d. Bamboo stick appearance is seen on gram stain as the bacilli form long chains.